Modaflnil is used for the treatment of -
1. Narcolepsy
2. Sexual dysfunction
3. Depression
4. Anxiety

Correct answer: 1. Narcolepsy

Explanation: Ans. is 'a' i.e. Narcolepsy o Modafinil is a wakefulness-promoting agent (or eugeroic) used for treatment of disorders such asnarcolepsy, shift work sleep disorder, and excessive daytime sleepiness associated with obstructive sleep apneao It acts as a selective, relatively weak, atypical dopamine reuptake inhibitor.o Important side effects are headache (MC), nausea, nervousness, diarrhea, insomnia, anxiety, dizziness, and gastrointestinal problems. Rarely drug reaction related side effects like SJS, TEN etc have been noted.